Present in "locked in" syndrome
1. Cognition
2. Movements
3. Speech
4. All of the above

Correct answer: 1. Cognition

Explanation: (A) Cognition # LOCKED-IN SYNDROME is a condition in which a patient is aware and awake, but cannot move or communicate due to complete paralysis of nearly all voluntary muscles in the body except for the eyes. Total locked-in syndrome is a version of locked-in syndrome where the eyes are paralyzed as well. It is the result of a brain stem lesion in which the ventral part of the pons is damaged. The condition has been described as "the closest thing to being buried alive".> Locked-in syndrome is also known as cerebromedullospinal disconnection, de-efferented state, pseudocoma, and ventral pontine syndrome.> A "locked-in" state of preserved consciousness with quadriplegia & cranial nerve signs suggests complete pontine & lower midbrain infarction (Harrison)